True about tubal pregnancy :
1. IUCD predisposes
2. Prior tubal pregnancy
3. Prior h/o PID/Chlamydia infection
4. All

Correct answer: 4. All

Explanation: All